All are feature of Wernicke's encephalopathy,Except:
1. Cogwheel rigidity
2. Alteration in mental function
3. 6th nerve palsy
4. Ataxia

Correct answer: 1. Cogwheel rigidity

Explanation: Ans. is 'a' Cogwheel rigidity (Ref Harrison, 16/e, p 1636 (15/e, p 2496)).Wernicke's disease is seen in Alcoholic* patients with chronic thiamine deficiency*.The characteristic clinical trial is that of:Global confusionOphthalmoplegia Ataxia Mnemonic: GOAOther ocular motor abnormalities include:horizontal nystagmus on lateral gaze,conjugate gaze palsies*rarely ptosis*Pupil are usually spared but they may become miotic.When there is an additional loss of memory and a confabulatory psychosis, the syndrome is known as Wernicke- Korsakoff syndrome *.